Succinyl CoA is formed from which glucogenic acid ?
1. Tyrosine
2. Phenylalanine
3. Valine
4. Proline

Correct answer: 3. Valine

Explanation: Ans. is 'c' i.e., Valine